Ovulation is associated with sudden rise in
1. Testosterone
2. Prolactin
3. LH
4. FSH

Correct answer: 3. LH

Explanation: Ovulation is associated with LH surge Ref: guyton and hall textbook of medical physiology 12 edition page number:641,642,643